Which hormone is converted into active form in liver?
1. Corticosteroid
2. ACTH
3. Thyroid hormone
4. Estradiol

Correct answer: 3. Thyroid hormone

Explanation: Ans. is'c'i.e., Thyroid hormone(Ref Principles of medical physiology lt p.71)Thyroxine (T4) is converted to T, (active form) in liver (majority) and kidney.